In a patient with urethral syndrome, urine microscopy shows full of polymorphs, but no bacteria. The most appropriate culture medium is
1. Mc Coy cell
2. Thayer medium
3. Cooked meat
4. PPLO broth

Correct answer: 1. Mc Coy cell

Explanation: For Chlamydia, commonest cause of non gonococcal urethritis